Cells involved in active protein synthesis have-
1. Increased mitochondria
2. Increased Rough Endoplasmic reticulum
3. Increased golgi apparatus
4. Increased lysosomes

Correct answer: 2. Increased Rough Endoplasmic reticulum

Explanation: In Rough endoplasmic reticulum, ribosomes are attached. Protein synthesis can occur in ribosomes and mitochondria. So the answer to this question would be rough endoplasmic reticulum.